False about thyroglossal fistula is:
1. It is congenital reminant thyroglossal tract, present in the midline of neck
2. Presents as a discharging sinus, which often get infected
3. Treatment includes excision of fistula along with thyroglossal tract upto base of tongue
4. Surgical excision requires removal of middle third of hyoid bone

Correct answer: 1. It is congenital reminant thyroglossal tract, present in the midline of neck

Explanation: Thyroglossal Fistula is an acquired condition, never congenital. It usually develops after infection or incomplete removal of thyroglossal Cyst.